In case of retreatment which is ideal for removal of G.P.?
1. H-file
2. K-file
3. GT-file
4. Lentulospiral

Correct answer: 1. H-file